All of the following statements about suprarenal glands are true except:
1. IVC & liver form anterior relations of R-1 suprarenal gland
2. Medial border is related to left inferior phrenicaery
3. Both glands art drain into renal vein
4. Middle suprarenal artery is branch of abdominal aorta

Correct answer: 3. Both glands art drain into renal vein

Explanation: C i.e. Both glands drain into renal vein